The site of lesion in Korsakoff's psychosis is :
1. Frontal lobe
2. Corpus striatum
3. Mammilary body
4. Cingulate gyms

Correct answer: 3. Mammilary body

Explanation: Wernicke's encephalopathy : Thalamus, mammillary bodies, midline cerebellum, periaqueductal gray matter of midbrain, and peripheral nerves.
Korsakoff's syndrome : Atrophy of Mammillary body, medial thalamic nuclei, and hippocampus.